Graves disease is an example of which of the following immunologic processes?
1. Autoimmune disease associated with HLA gene B27
2. Autoimmune disease associated with HLA gene DR3
3. Immune deficiency associated with HLA gene DR2
4. Immune deficiency associated with HLA gene DR4

Correct answer: 2. Autoimmune disease associated with HLA gene DR3

Explanation: Ans. (b)Graves disease is an autoimmune disease that is associated with the presence of the HLA DR3 gene. It is not associated with HLA B 27, DR2, DR4 or Cw6. It does not result from immunodeficiency.